Right gastric nodes drain from which part of stomach
1. Fundus
2. Greater curvature
3. Lesser curvature
4. None

Correct answer: 3. Lesser curvature

Explanation: Ans. is 'c' i.e., Lesser curvatureThe gastric lymph nodes consist of two sets, superior and inferior.The Superior Gastric Glands accompany the left gastricartery and are divisible into three groups:Upper, on the stem of the artery;Lower, accompanying the descending branches of the artery along the cardiac half of the lesser curvature of the stomach, between the two layers of the lesser omentum;Paracardial outlying members of the gastric glands, disposed in a manner comparable to a chain of beads around the neck of the stomach. They receive their afferents from the stomach; their efferents pass to the celiac group of preaortic lymph nodes.The Inferior Gastric Glands, four to seven in number, lie between the two layers of the greater omentum along the pyloric half of the greater curvature of the stomach.